Drug which is given along with tazobactam and has anti pseudomonas activity:
1. Amoxicillin
2. Aztreonam
3. Piperacillin
4. Vancomycin

Correct answer: 3. Piperacillin

Explanation: Ans. C. PiperacillinPenicillin which are given for pseudomonas infection are carbenicillin, ticarcillin, piperacillin, azlocillin. Piperacillin is drug which is combined with tazobactam for infections.